Pancreatic pseudocyst is made up of?
1. Bacteria
2. Pancreatic enzymes
3. Glucagon
4. Insulin

Correct answer: 2. Pancreatic enzymes

Explanation: A pseudocyst is a collection of amylase-rich fluid enclosed in a wall of fibrous or granulation tissue Bailey & Love ,26th,1133.